All are seen in Transient Tachypnea of the newborn except
1. Associated with Grunting and minimal cyanosis
2. Associated with Rhonchi and crackles
3. Presence of Interlobar effusion
4. Early onset in neonatal period

Correct answer: 2. Associated with Rhonchi and crackles

Explanation: Transient Tachypnea of the NewbornPathophysiologyClinical features*Slow resorption of lung fluid.*Pulmonary compliance -*Tidal volume -*Dead space *Disease of exclusion.*Rapid & early onset*Recovery within 3 days.*No/minimal cyanosis.*Grunting +-X ray featuresComplications*Prominent pulmonary vessel markings.*Fluid in interlobar fissure.*Overreaction.*Flat diaphragm.*Small pleural effusion*Persistent pulmonary hypertension.*Malignant TTN(severe form) Treatment - Supportive(Refer: Nelson's Textbook of Paediatrics,19thedition, pg no: 590)